Among of following IUCD's which has life span for 10 years:
1. CuT380A
2. CuT200
3. Nova T
4. Multiload

Correct answer: 1. CuT380A

Explanation: Most of the IUCDs have an average life span of 3 years.
Exceptions are: